An oval radiolucent area between the apices of maxillary incisors is
1. Nasopalatine foramen
2. Lingual foramen
3. Nasal fossa
4. Incisive canal

Correct answer: 1. Nasopalatine foramen